Most common cause of maternal anaemia in pregnancy
1. Acute blood loss
2. Iron deficiency state
3. Gastrointestinal blood loss
4. Hemolytic anaemia

Correct answer: 2. Iron deficiency state

Explanation: According to WHO anemia in pregnancy is defined as haemoglobin level below 11g/dl Iron deficiency anemia is the most common cause of anaemia both in the non pregnant and pregnant state Reference: Text Book of Obstetrics; Sheila Balakrishnan; 2nd edition; Page no: 285